The poor indicator of response during treatment of malnutrition includes
1. Failure to gain appetite by day 10
2. Presence of edema on day 10
3. Failure to gain at least 5 g/kg/day by day 4
4. Failure to gain at least 2 g/kg/day by day 10

Correct answer: 2. Presence of edema on day 10

Explanation: Primary failure to respond may be characterized by:1. Failure to regain appetite by day 42. Failure to start losing edema by day 43. Failure of the disappearance of edema by day 104. Failure to gain weight at least by 5g/kg/day by day 10 of therapyRef: Nelson Paediatrics; 20th edition